The commonest cause of cataract –
1. Hereditary
2. DM
3. Trauma
4. Age related

Correct answer: 4. Age related

Explanation: Most common type of cataract is senile (age-related) cataract.